Bacterial vaginosis is named as
1. Clostridium vaginitis
2. Haemophilus vaginitis
3. Citrobacter vaginitis
4. Staphylococcal vaginitis

Correct answer: 2. Haemophilus vaginitis

Explanation: Bacterial vaginosis is also named as:

Haemophilus vaginitis
Corynebacterium vaginitis
Gardnerella vaginitis
Anaerobic vaginitis
Non - specific vaginitis